Which of the following drugs is used in severe hypertensive emergencies, is very short acting and must be given by i.v. infusion ?
1. Diazoxide
2. Hydralazine
3. Labetalol
4. Nitroprusside

Correct answer: 4. Nitroprusside